Function of ossicles in middle ear is to _______
1. Amplify intensity of sound
2. Protect from loud sound
3. Conduct sound energy from the tympanic membrane to the oval window and then to the inner ear fluid
4. None of the above

Correct answer: 3. Conduct sound energy from the tympanic membrane to the oval window and then to the inner ear fluid

Explanation: The ossicles (auditory ossicles) are the three smallest bones in the body, the malleus, the incus, and the stapes. They are contained within the middle ear space and serve to transmit sounds from the air to the fluid-filled labyrinth (cochlea).